Nutrient and oxygen reach the chondrocytes across perichondrium by
1. Capillaries
2. Diffusion
3. Along neurons
4. Active transport

Correct answer: 2. Diffusion

Explanation: an important fact about cartilage matrix is that it is avascular, i.e. not supplied by capillariestherefore, chondrocytes within the matrix must receive nutrients and oxygen by diffusion from vessels that lie outside the cailagethis long-distance diffusion is possible because of the large volume of water trapped within the matrix(Refer: Manish Kumar Varshney's Essential Orthopedics Principles & Practice, 1st edition, pg no. 7, 347)